Oropharynx manifestation of HIV infection is -
1. Oral hairy leukoplakia
2. Caries tooth
3. Cheilitis
4. Paharyngitis

Correct answer: 1. Oral hairy leukoplakia

Explanation: repeat